Onion skin periosteal reaction is usually seen in:
1. Ewings sarcoma
2. Osteosarcoma
3. Wilms tumor
4. Osteoblastoma

Correct answer: 1. Ewings sarcoma

Explanation: Ewing sarcoma Destructive lesion in the diaphysis of a long bone with an "onion skin" periosteal reaction. Originates in the metaphysis of a long bone, but frequently extends for a considerable distance into the diaphysis. Classically, PNET class of tumour, with c-myc positive,having round cells is histology. -Osteosarcoma show codman's triangle, sunray or sunburst appearance as periosteal reaction